The following statements are true about Peyronie's disease except -
1. Spontaneous regression occurs in 50% of the cases.
2. Condition affects adolescent males.
3. The condition can be associated with Dupuytren's contracture of the tendon of the hand.
4. Pt. presents with complaints of painful erection.

Correct answer: 2. Condition affects adolescent males.

Explanation: Peyronie's disease is usually seen over 40 years of age Important points about Pevronie's disease It is also k/a penile fibromatosis It is due to fibrous plaques in one or both corpus cavernosum.They may later calcify or ossify. Fibrous plaques lead to pain and curvature of the penis on erection Palpable induration or mass appears usually on the dorsolateral aspect of the penis. Palmar fibromatosis (Dupuytren's contracture), plantar fibromatosis and penile fibromatosis (Peyronie's ds.) are components of the same pathological process called superficial fibromatosis. The aetilogy is uncertain, but it may be a result of past trauma. Treatment is difficult but some cases may show spontaneous regression. Medical treatments are often ineffective. If the penile deformity is distressing, Nesbitt's operation can be performed to straighten the penis Ref : Bailey and Love 25/e p1373